True about caveolin:
1. Involved in transcytosis
2. Involved in cholesterol regulation
3. Signal transduction
4. All of the above

Correct answer: 4. All of the above

Explanation: Caveolins are proteins that interact with cholesterol and polymerize to form the caveolae (flask-shaped membrane depressions). These are prominent in endothelial cells, where they help in the uptake of nutrients from the blood. These are involved in cholesterol regulation and transcytosis. Transcytosis across capillary endothelium